Sterile hemorrhagic cystitis is caused by :
1. Busulfan
2. Ketoprofen
3. Methicillin
4. Cyclophosphamide

Correct answer: 4. Cyclophosphamide